Reabsorption of Water is maximum in:
1. PCT
2. DCT
3. Collecting duct
4. Loop of henle

Correct answer: 1. PCT

Explanation: Ans. A: PCTNormally about 65% of the filtered load of sodium and water, essentially all the filtered glucose and amino acids and a slightly lower percentage of filtered chloride are reabsorbed by the proximal tubule.The proximal tubules also secrete organic acids, bases and hydrogen ions into the tubular lumen.